MYD88 L265P mutation is seen in?
1. Hairy cell leukemia
2. Waldenstrom Macroglobulinemia
3. Multiple Myeloma
4. AML

Correct answer: 2. Waldenstrom Macroglobulinemia

Explanation: Ans. (b) Waldenstrom MacroglobulinemiaMYD88 (L265P) mutation is detectable in all patients with Waldenstro..m's macroglobulinemia, therefore representing a hallmark of the disease.